Ramu, age 10 years present with itching in his eye, foreign body sensation & ropy discharge since several months. These symptoms are more prominent in summer. Most probable diagnosis is –
1. Vernal conjunctivitis
2. Fungal keratoconjunctivitis
3. Viral conjunctivitis
4. Trachoma

Correct answer: 1. Vernal conjunctivitis

Explanation: Information in this question is:-


Age 10 years
Itching, foreign body sensation
Ropy discharge (characteristic of spring catarrh)
Exacerbation during summer (characteristic of spring catarrh)


Diagnosis is vernal keratoconjunctivitis (spring catarrh)